In which of the following patients would enalapril be the best first line agent for high blood pressure control ?
1. A 62 year old man with renal artery stenosis
2. A 32 year old pregnant female
3. A 41 year old woman with hyperkalemia
4. A 56 year old diabetic woman

Correct answer: 4. A 56 year old diabetic woman